All the following are characteristic of Turner Syndrome EXCEPT
1. Webbing of Neck
2. Cubitus valgus
3. Umbilical Hernia
4. Coarctation of Aorta

Correct answer: 3. Umbilical Hernia

Explanation: Turner syndrome include Significant growth retardation, leading to abnormally short stature (below the third percentile); swelling of the nape of the neck due to distended lymphatic channels (in infancy) that is seen as webbing of the neck in older children; low posterior hairline; cubitus valgus (an increase in the carrying angle of the arms); shieldlike chest with widely spaced nipples; high-arched palate; lymphedema of the hands and feet; a variety of congenital malformations such as horseshoe kidney, bicuspid aortic valve, and coarctation of the aorta. Cardiovascular abnormalities are the most common cause of death in childhood. In adolescence, affected girls fail to develop normal secondary sex characteristics; the genitalia remain infantile, breast development is minimal, little pubic hair appears. Most patients have primary amenorrhea, transformation of the ovaries into white streaks of fibrous stroma devoid of follicles. The mental status is normal Umbilical hernia is not a complication of Turner's syndrome (Robbins Basic Pathology,9th edition,pg no. 240)